Dermatophyte which does not involve nail
1. Trichophyton
2. Microsporum
3. Epidermophyton
4. None of the above

Correct answer: 2. Microsporum

Explanation: Trichophyton - Infect skin, Hair and nail.
Microsporum - Infect skin, Hair.
Epidermophyton - Infect skin, Nail.